Birth trauma is a risk factor for
1. Prolapse uterus
2. Endometriosis
3. PID
4. Abortions

Correct answer: 1. Prolapse uterus

Explanation: A bh injury is important etiological factor for prolapse A perineal tear is less harmful than the excessive stretching of the pelvic floor muscles and ligaments that occur during childbirth because overstretching cause atonicity whereas torned muscle could be stitched Squatting position used during delivery may cause excessive stretching of the pelvic floor muscles and ligaments and leads to genital prolapse a few years later. Ref: SHAW'S TEXTBOOK OF GYNAECOLOGY; 15th edition; Pg no:332